Streptococcus pneumonia produces which type of hemolysis -
1. Alpha
2. Beta
3. Gamma
4. Any of the above

Correct answer: 1. Alpha

Explanation: Ans. is 'a' i.e., Alpha [Ref: Ananthanarayan 9th/e p. 220-221 & 8th/e p. 218, 219)o Streptococci have been categorised into three varieties based on their growth in 5% blood agar pour plate cultures:-StreptococciAlpha (a)Beta (b)Gamma (g)Greenish discolouration with partial hemolysis around colonies eg - Str. Pneumonia Str. viridansColourless zone of complete hemolysis eg - Str-pyogenes Str. agalactiae Str. equisimilisNo hemolysis eg- Enterococci